Which of the following is transmitted by mites:
1. Endemic typhus
2. Epidemic typhus
3. Trench fever
4. Scrub typhus

Correct answer: 4. Scrub typhus

Explanation: Ans. (D) Scrub typhusRef : K. Park 23rd ed. / 299-300, Park's PSMy 20/ 262Rickettsial Diseases, their Agents and Insect VectorsDiseaseRickettsial agentInsect VectorsEpidemic typhusEndemic typhusScrub typhusIndian tick typhusRocky mountain spotted feverRickettsial poxQ.feverTrench feverR. prowazekiiR. typhiR. tsutsugarnushiR. conoriiR. rickettsiiR. akariC. burnetiiRochalimae aquintanaLouseFleaMiteTickTickMiteSoft TickLouse